2, 3 bisphosphoglycerate occurs in ?
1. Liver
2. RBCs
3. Kidney
4. Brain

Correct answer: 2. RBCs

Explanation: Ans. is 'b' i.e., RBCs